Pink tooth of Mummery
1. Internal Resorption
2. External Resorbtion
3. Chronic Pulpitis
4. Acute pulpitis

Correct answer: 1. Internal Resorption